Chlamydia Trachomatis, false is
1. Elementary body is metabolically active
2. It is biphasic
3. Reticulate body divides by binary fission
4. Inside the cell it evades phagolysosome

Correct answer: 1. Elementary body is metabolically active

Explanation: Ans. is 'a' i.e. Elementary body is metabolically active Chlamydiae is a gram negative bacteria that are obligate intracellular parasitesThey require the host's ATP as an energy source for their own metabolism. They have a cell membrane transport system that takes on ATP from the host cell and then return backs an ADP. This is called ATP/ADP translocator. Chlamydia life cycleThe chlamydia life cycle is complex as the bacteria exists in two forms (biphasic)Elementary bodyIt is a metabolically inert (does not divide), dense, round, small (300 nm) infectious particle.The outer membrane has extensive disulfide bond cross-linkages that confer stability for extracellular existence.It is an infectious particle that spreads from host to host.Initial body (also called reticulate body)Once inside a host cell the elementary body inhibits phagosome lysosome fusion and grows in size to 1000 nm.Its RNA content increases and binary fission occurs forming the initial body, (initial body)Although the initial body synthesizes its own DNA, RNA and proteins, it requires ATP from the host.Also know * Chlamydia trachomatis has affinity for columnar cells.